Temporary cavity is seen in gun shot injury with ?
1. High velocity
2. Low velocity
3. High weight bullet
4. Low weight bullet

Correct answer: 1. High velocity

Explanation: Ans. is 'a' i.e., High velocity Size and congigration of temporory cavity is offected by :-Kinetic energy of bullet - Velocity plays the major role in determining kinetic energy.Type of tissue along the tract (elastic vs non-elastic).